Catatonic schizophrenia is associated with
1. Paranoid thoughts
2. Suicidal behavior
3. Motor symptoms
4. Intellectual Disability

Correct answer: 3. Motor symptoms

Explanation: - Catatonic schizophrenia is a type of schizophrenia that includes extremes of behavior.- It includes motor symptoms.- At one end of the extreme the patient cannot speak, move or respond - there is a dramatic reduction in activity where virtually all movement stops, as in a catatonic stupor.- At the other end of the extreme they are overexcited or hyperactive, sometimes mimicking sounds (echolalia) or movements (echopraxia) around them - often referred to as catatonic excitement.